Acculturation means:
1. Culture contact
2. Study of the various cultures
3. Cultural history of health and disease
4. None of the above

Correct answer: 1. Culture contact

Explanation: Culture contact